Svmpathetic supply to heart -
1. C5-C7
2. T1-T4
3. C1-C4
4. T5-T9

Correct answer: 2. T1-T4

Explanation: Ans. is 'b' i.e., T1- T4 Nerve supply of the Hearto The heart is supplied by the cardiac plexus formed by:Sympathetic fiber -EfferentsPreganglionic fibers arise from T1, to T2, segments of spinal cordPostganglionic fibers arise fromSuperior, middle, and inferior cervical sympathetic gangliaT,-T, thoracic gangliaAfferents - present in dorsal root ganglia of T4-T, spinal nervesParasympathetic fibers -EfferentsPreganglionic fibers - from nucleus ambiguous and dorsal nucleus of vagus.Postganglionic fibers - present in the cardiac plexusAfferents - lie in inferior ganglion of vagusSympathetic fibers supply the atria, ventricles, and conducting system of the heart, Parasympathetic fibers supply only the atria and conducting system of heart.